Pleural calcification is seen in -
1. Mesothelioma
2. Haemothorax
3. Tubercular empyema
4. All of the above

Correct answer: 4. All of the above